All of the following type of renal stones are seen in females, EXCEPT:
1. Stones associated with Idiopathic hypercalciuria
2. Renal stones in Distal renal tubular acidosis
3. Renal stones in Primary hyperoxaluria
4. Renal stones in Lesch-Nyhan syndrome

Correct answer: 4. Renal stones in Lesch-Nyhan syndrome

Explanation: The HPRT gene is located on the X chromosome. Affected males are hemizygous for the mutant gene; carrier females are asymptomatic. A complete deficiency of HPRT, the Lesch-Nyhan syndrome, is characterized by hyperuricemia, self-mutilative behavior, choreoathetosis, spasticity, and intellectual disability. A partial deficiency of HPRT, the Kelley-Seegmiller syndrome, is associated with hyperuricemia but no central nervous system manifestations. In both disorders, the hyperuricemia results from urate overproduction and can cause uric acid crystalluria, nephrolithiasis, obstructive uropathy, and gouty arthritis. Early diagnosis and appropriate therapy with allopurinol is needed. Ref: Harrisons Principles of Medicine, 18th Edition, Page 3185 See the Table 287-1 in 18th edition Harrison, Page 2383